Stack formula for age estimation from teeth is for -
1. Infants
2. Young
3. Elderly
4. None

Correct answer: 1. Infants

Explanation: Stack's method is used to determine age of infants from weight and height of erupting teeth of child. This can be used for deciduous and permanent teeth during erupting phase. Ref.:Dr. Narayana Reddys Synopsis of Forensic Medicine & Toxicology 27th edition pg. 37.